Tapping is required in a screw which is:
1. Fluted.
2. Non fluted.
3. Self drilling.
4. Self tapping.

Correct answer: 2. Non fluted.

Explanation: Self tapping screw eliminates the need for tapping. Fluted screws have flutes at the end that act as tap and collect bone debris as the screw is advanced.